Rectus abdominis free ﬂap is supplied by:
1. Intercostals artery
2. Iliolumbar artery
3. Epigastric artery
4. Thoraco-lumbar artery

Correct answer: 3. Epigastric artery

Explanation: The rectus abdominis muscle flap is supplied by 2 vascular pedicles, the cranial and caudal epigastric vessels .
The principal blood supply is the caudal epigastric artery, which perfuses approximately 2/3 of the length of the muscle, with the remainder of the muscle supplied by the cranial epigastric artery.